Mastoid fontanelle closes by
1. 1-3 months
2. 3-6 months
3. 11-12 months
4. 18-24 months

Correct answer: 3. 11-12 months

Explanation: Closure of Fontanelles:1. Anterior fontanelle by 18 months2. Posterior fontanelle by 2-3 months3. Sphenoidal fontanelle by 2-3 months and 4. Mastoid fontanelle by 12 months Reference: Chourasia; 6th edition; 12th page